A 30 year old male patient has a large, spreading and exuberant ulcer with bright red granulation tissue over the glands penis. There was no lymphadenopathy. The most likely causative organism is;
1. Treponema pallidum
2. Herpes simplex virus type 1
3. Herpes simplex virus type 2
4. Calymmatobacterium granulomatis

Correct answer: 4. Calymmatobacterium granulomatis

Explanation: D i.e. Calymmatobacterium granulomatis